Which of the following is the first line of defense in coagulopathic hemorrhage?
1. Packed red cells
2. Fresh frozen plasma
3. Cryoprecipitate
4. Platelets

Correct answer: 2. Fresh frozen plasma

Explanation: Fresh-frozen plasma (FFP) is rich in coagulation factors; it is removed from fresh blood and stored at –40 to –50 deg C with a 2 year shelf-life. It is the first-line therapy in the treatment of coagulopathic hemorrhage.